Cholesteatoma is commonly a/w:
1. Attico-antral
2. Tubotympanic
3. Tympanosclersis
4. Foreign body in ear

Correct answer: 1. Attico-antral

Explanation: Ans, A. (Attico-antral) "Keratosis obturans is collection of a pearly white mass of desqumated epithelial cells in the deep meatus"- Dhingra 5th/61Cholesteatoma is 'commonly a/w atticontral or unsafe of CSOMQDifferences b/w Atticoantral and Tubotympanic type of CSOM Dhingra 5th/77FeatureTubotympanic or Safe typeQAtticoantral or Unsafe typeQDischargeProfuse, mucoid QScanty, purulent, foul- smellingQPerforationCentralQAttic or marginalQGranulationsUncommon QCommonQPolypPaleRed and fleshyCholesteatomaAbsentPresentComplicationsRareQCommonQAudiogramMild to moderate conductive deafnessConductive or mixed deafness Cholesteatoma# Cholesteatoma, stratified squamous epithelium in the middle ear or mastoid, occurs frequently in adults. This is a benign, slowly growing lesion that destroys bone and normal ear tissue.# Theories of pathogenesis include traumatic implantation and invasion, immigration and invasion through a perforation, and metaplasia following chronic infection and irritation.On examination, there is often a perforation of the tympanic membrane filled with cheesy white squamous debris. A chronically draining ear that fails to respond to appropriate antibiotic therapy should raise suspicion of a cholesteatoma.Conductive hearing loss secondary to ossicular erosion is common. Surgery is required to remove this destructive process.